Paris green is a ?
1. Stomach poison
2. Contact poison
3. Repellent
4. Rodenticide

Correct answer: 1. Stomach poison

Explanation: Ans. is 'a' i.e., Stomach poison